Canon 'a' waves in JVP represents:
1. Complete heart block
2. 1st degree A-V block
3. Sinus bradycardia
4. Tachycardia

Correct answer: 1. Complete heart block

Explanation: Ans. A: Complete heart block